Pure gold has a density of 19.3 g/cm3. The apparent density of the direct filling gold restoration after condensation is most often:
1. Equal to 19.3 g/cm3
2. More than 19.3 g/cm3
3. Less than 19.3 g/cm3
4. Can be more or less than 19.3 g/cm3

Correct answer: 3. Less than 19.3 g/cm3

Explanation: The maximal density of gold is 19.3 g/cm3. The density values shown in Table indicates the presence of voids in all direct gold restorations. Apparently, voids are inevitable, but they should be kept to a minimum to achieve the maximal strength attainable.